In abdominal surgery lembert sutures refers to
1. Single layer suturing
2. Sero muscular sutures
3. All coat intestinal suturing
4. Skin suturing

Correct answer: 2. Sero muscular sutures

Explanation: It is used for Bowel anastomosis The word anastomosis comes from the Greek 'ana', without, and 'stoma', a mouth, reflecting the join of a tubular viscus (bowel) or vessel (usually arteries) after a resection or bypass procedure. Prior to the nineteenth century, intestinal surgery was limited to exteriorisation by means of a stoma, or closure of simple lacerations. Lembert then described his seromuscular suture technique for bowel anastomosis in 1826 Ref: Bailey and love 27th edition Pgno : 97